Group A nerve fibers most susceptible to
1. Pressure
2. Hypoxia
3. Local anaesthesia
4. Temperature

Correct answer: 1. Pressure